The following are the factors associated with CIN EXCEPT
1. Onset of coitus at early stage
2. Multiple sexual partners
3. Lower socioeconomic status
4. Nulliparity

Correct answer: 4. Nulliparity

Explanation: Multiparity is believed to be a risk factor for cervical cancer Women who have had 3 or more full-term pregnancies have an increased risk of developing cervical cancer. Hormonal changes during pregnancy as possibly making women more susceptible to HPV infection or cancer growth. Another thought is that the immune system of pregnant women might be weaker, allowing for HPV infection and increase in cervical dysplasia Resumption of intercourse when the T.Z is regenerating and 'New' after a delivery, is a high susceptible stage for dysplasias to start